Which one of the following is the most common cause of cyanotic heart disease-
1. Dextrocardia
2. Fallot's tetralogy
3. Atrial septal defect
4. Coarctation of aorta

Correct answer: 2. Fallot's tetralogy

Explanation: Ans. is 'b' i.e., Fallot's tetralogy